Support of the muscles against gravity is a function of which one of the following?
1. Vestibular nucleus
2. Hypothalamus
3. Supplementary motor area
4. Amygidala

Correct answer: 1. Vestibular nucleus

Explanation: The vestibulospinal fibres which arise from lateral vestibular nucleus located at the junction of pons and medulla control the antigravity group of muscles.(Ref: AK Jain textbook of physiology part 11, 5th edition pg 944)